Biological value is maximum of?
1. Egg
2. Milk
3. Soyabean
4. Pulses

Correct answer: 1. Egg

Explanation: - NPU (Net protein Utilisation) is combination of Biological value & Digestibility, which is 100 for egg, compared to 80 for meat & 75 for milk.